All can cause R.P.G.N., Except:
1. Minimal change glomerulonephritis
2. Poststreptococcal glomerulonephritis
3. Wegener granulomatosis
4. S.L.E.

Correct answer: 1. Minimal change glomerulonephritis

Explanation: Ans. is 'a' Minimal change glomerulonephritis (Ref: Chandrasoma Taylor, 3/e, p711, Harrison 17/e p 1786, 1789, 1787 & 16/e, p 1685).* Rapidly progressive glomerulonephritis is a heterogenous condition that probably represents the end result of glomerular damage occurring in many diseases. It is defined by 2 criteria.1. Presence of epithelial crescents in more than 70% of glomeruli*2. Occurrence of rapidly progressive renal failure.